Socialized medicine is:
1. Health care at people's expense
2. Charitable care at government expense
3. Free medical care at government expense, regulated by professional groups
4. Integration of social medicine with health care

Correct answer: 3. Free medical care at government expense, regulated by professional groups

Explanation: Ans. (c) Free medical care at government expense, regulated by professional groups* State Medicine: Provision of free medical services to the people at government expense* Socialized Medicine: Provision of medical service and professional education by the State (as in state medicine), but the programme is operated and regulated by professional groups rather than by government- Prevents competition between practitioners and clients- Provision of medical services supported by state government- Ensures social equity that is universally operated by professional health services* Social Medicine: Study of the social, economical, environmental, cultural, psychological and genetic factors, which have a bearing on healthALSO REMEMBER* First country to socialize medicine completely: Russia